All of the following organs contain aneurysm in polyarteritis nodosa except ?
1. Liver
2. Lung
3. Kidney
4. Pancreas

Correct answer: 2. Lung